Softening of the vaginal portion of the cervix:
1. Goodell's sign
2. Chadwick's sign
3. Hegar's sign
4. Piskacek's sign

Correct answer: 1. Goodell's sign

Explanation: Goodell sign:- Softening of the cervix , 6th to 8th weeks Chadwick / jacquemier's sign:- Bluish discoloration of the cervix , 6th to 8th weeks Hegars sign : On p/v the abdominal and vaginal fingers seem to oppose below the body of uterus ,6th wk Osiander (vaginal ) sign :-Pulsatality in lateral fornices, around 8th week Piskacek's sign :- Asymmetrical enlargement of the uterus if lateral implantation Palmer sign :- Regular and rhythmic contractions during bimanual examination Braxton hicks :- Contraction around 16-18 weeks